Cataract is caused by all except –
1. Ultraviolet radiation
2. MRI
3. Infrared radiation
4. Microwave radiation

Correct answer: 2. MRI

Explanation: Radiation cataract is caused by ionizing & non-ionizing radiations e.g. UV rays, neutron, radium, ultrasonics; but MRI has no radiation exposure.